According to F.D.I formula, the tooth that is denoted by the number 34 is
1. Upper right temporary first molar
2. Lower right permanent first molar
3. Upper left first premolar
4. Lower left first premolar

Correct answer: 4. Lower left first premolar

Explanation: Each tooth is numbered by the quadrant (1 to 4) and by the tooth within the quadrant (1 to 8) 1 Maxillary right 2 Maxillary left 3 Mandibular left 4 Mandibular right Tooth Numbers Within Each Quadrant: Start with number 1 at the midline (central incisor) to number 8, third molar so 34 is left lower, 4th tooth (first premolar) Ref - https://en.m.wikipedia.org/wiki/FDI_World_Dental_Federation_notation